Cizotinib is inhibitor of which receptor -
1. Tyrosine kinase
2. VEGF receptor
3. TNF alpha receptor
4. PDGF receptor

Correct answer: 1. Tyrosine kinase

Explanation: Ans. is 'a' i.e., Tyrosine kinase Crizotinib* It is a small molecule multitargeted tyrosine kinase receptor inhibitor targeting ALK, MET, ROS1 kinases.* By inhibiting ALK tyrosine kinase activity, crizotinib inhibits cell proliferation, induces G1 - S phase cell cycle arrest and apoptosis.* It is approved for the first line in management of metastatic non-small cell lung cancer with an ALK mutation.* The most common adverse effects associated with crizotinib are vision disorder, diarrhea and edema.* It is also associated with QT prolongation and bradycardia* Tumors invariably acquire resistance after one year of treatment. Mechanism of resistance include mutations in ATP binding pocket of the tyrosine kinase domain of ALK.